Which hepatitis virus had been called as enterovirus -
1. HAV
2. HBV
3. HCV
4. HEV

Correct answer: 1. HAV

Explanation: HAV was originally designated as enterovirus 72 REF:
ANATHANARAYANAN MICROBIOLOGY NINTH EDITION PAGE.541